Caldwell Iuc approach opens -
1. Maxillary sinus
2. Frontal sinus
3. Sphenoid sinus
4. Ethmoid sinus

Correct answer: 1. Maxillary sinus